Which of the following statement regarding trauma to primary teeth is false?
1. Lingually intruded primary tooth should not be removed
2. Intruded teeth re-erupt within 3-4 weeks after injury
3. Teeth with complete root formation undergo resorption more frequently
4. Teeth with incomplete root formation undergo resorption more rapidly

Correct answer: 1. Lingually intruded primary tooth should not be removed

Explanation: Normally, the developing permanent incisor tooth bud lies lingual to the roots of the primary central incisors. Therefore, when an intrusive displacement occurs, the primary tooth usually remains labial to the developing permanent tooth. 
If the intruded primary tooth is found to be in a lingual or encroaching relationship to the developing permanent tooth, it should be removed. Such a  relationship may be conﬁrmed from a lateral radiograph of the anterior segment. 
Primary anterior teeth intruded as a result of a blow may often re-erupt within 3 to 4 weeks after the injury. 
Teeth with complete root formation seem to undergo resorption more frequently than those with incomplete root formation. However, when resorption did occur, it was more extensive and progressed more rapidly in teeth with incomplete root development.